C - wave in electroretinography is due to
1. Rods & cones
2. Muller cells
3. Bipolar cells
4. Retinal pigment epithelium

Correct answer: 4. Retinal pigment epithelium

Explanation: A wave - Rods & cones.
B wave - muller cells & Bipolar cells.
C wave - RPE.